Labetalol is an
1. Alpha 1 blocker
2. Alpha 2 blocker
3. Alpha 1 and selective beta 1 blocker
4. Alpha 1 and non-selective beta blocker

Correct answer: 4. Alpha 1 and non-selective beta blocker

Explanation: Labetalol is a commonly used a 1 and non-selective b-adrenergic blockerDose: 200-2400mg/day, orally in two to three divided dosesIn an emergency: 20mg IV, followed by 20-80mg every 20min to a maximum of 220mg. Avoid in patients with Asthma, congestive cardiac failure, Liver failure(Ref: William's Obstetrics; 25th edition)